Splenomegaly is least likely associated with aEUR'
1. CML
2. Polycythemia ruba vera
3. Idiopathic myelofibrosis
4. Primary thrombocytosis

Correct answer: 4. Primary thrombocytosis

Explanation: Primary thrombocytosis The question is about the differential diagnosis of myeloprohferative syndrome. - Myeloproliferative disorders are characterized by splenomegaly except for essential thrombocytosis. In Essential thrombocytosis - "Physical examination is generally unremarkable except occasionally for mild splenomegaly. Massive splenomegaly is more indicative of another myeloproliferative disorder in particular polvcythetnia vera, idiopathic mvelofibrosis and chronic myeloid leukemia".